CuSO4 was used as an antidote for:
1. Dhatura poisoning
2. Cocaine poisoning
3. Phosphorus poisoning
4. Opium poisoning

Correct answer: 3. Phosphorus poisoning

Explanation: Ans. Phosphorus poisoning